Obesity is defined as if BMI is -
1. >20
2. >50
3. > 40
4. >30

Correct answer: 4. >30

Explanation: Ans. is 'd' i.e., > 30 Classification of adults according to BMIClassificationBMIRisk of comorbiditiesUnderweight<18-50Low (but risk of other clinical problems increased)Normal range18-50-24-99AverageOverweight:>25-00 Pre-obese25-00-29-99IncreasedObese class I30-00-34-99ModerateObese class II35-00-39-99SevereObese class III>40 00Very severe